Titanium casting is done with
1. Laser
2. Oven
3. Gas torch
4. Arc Melting with an argon atmosphere

Correct answer: 4. Arc Melting with an argon atmosphere